The deep ring is situated in
1. External oblique
2. Internal oblique
3. Fascialis tranversalis
4. Cremasteric fascia

Correct answer: 3. Fascialis tranversalis

Explanation: INGUINAL CANAL:-
The oblique intermuscular passage in the lower part of the anterior abdominal wall.
Extends from the deep inguinal ring to superficial.
Deep ring- oval opening in fascia transversalis.
 1.25 cm above mid-inguinal point.
Superficial ring: triangular gap in external oblique aponeurosis.
Length: 4cm
Directed downwards forwards and medially.